A 63 year old man present with a triad of angina, syncope and congestive heart failure. Which of the following valvular heart lesion can be suspected :
1. Mitral stenosis
2. Tricuspid regurgitation
3. Aortic stenosis
4. Aortic regurgitation

Correct answer: 3. Aortic stenosis

Explanation: Answer is C (Aortic stenosis) `Angina pectoris, Exertional syncope, and dyspnea (LV failure) represent the charactristic clinical triad of Aortic stenosis.' `Patients present with LV failure, angina pectoris or syncope all occurring with exertion.' Symptoms of Aortic Stenosis DyspneaQ Angina Pectoris') Syncope (Exertional)Q * Results primarily from elevation of * Resultsfrom imbalance between Syncope occurs due to stimulation of pulmonary capillary pressure secondary - increased myocardial oxygen reflex baroceptors. to LV failure requirement from increased myocardial With exertion, the LV pressure rise LVF and RVF may occur independently mass and intraventricular pressure (and) stimulating these baroceptors to or together as 'congestive cardiac - reduced oxygen availability peripherally vasodilate. failure'. Aortic stenosis leads to This results in an attempt to further chronic excessive after load and results increase cardiac output. Syncope occurs in LVF followed by RVF, thus when the stenotic valve does not allow an presenting as CCF adequate increase in cardiac output and systemic BF' falls. Sudden Cardiac Death is the fourth cardinal feature of Valvular Aortic Stenosis Aortic Stenosis is the most common valvular disease associated with sudden death.